All of the following are associated with breech presentation at normal full term pregnancy, EXCEPT:
1. Placenta accreta
2. Fetal malformation
3. Uterine anomaly
4. Cornual implantation of placenta

Correct answer: 1. Placenta accreta

Explanation: Causes of Breech: Early gestational age Multiparity Multiple pregnancy Polyhydramnios Oligohydramnios Hydrocephalus Anencephaly Previous breech Uterine anomalies Pelvic tumors Abnormal placental location like Cornual, fundal and Placenta previa